Cranial irradiation is also indicated in the treatment of which variety of lung cancer?
1. Squamous cell carcinoma
2. Non small cell cancer
3. Small cell cancer
4. Adenocarcinoma

Correct answer: 3. Small cell cancer

Explanation: Small cell lung cancers or oat cell carcinomas, exhibits aggressive behavior, with rapid growth, early spread to distant sites, exquisite sensitivity to chemotherapy and radiation, and frequent association with distinct paraneoplastic syndromes. Surgery usually plays no role in its management. Widespread metastases occur early in the course of the disease, with common spread to the mediastinal lymph nodes, liver, bones, adrenal glands, and brain. Management of limited-stage small cell lung cancer involves combination chemotherapy, usually with a platinum-containing regimen, and thoracic radiation therapy. If the patient achieves a complete remission, he or she would be offered prophylactic cranial irradiation.